Mental ability to make valid will is -
1. Vicarious liability
2. Curren's rule is basis for this
3. Testamentary capacity
4. Mc Naughten's rule

Correct answer: 3. Testamentary capacity